All of the following changes are seen in dysplasia of squamo-columnar junction, except :
1. Breaking of basement membrane
2. Change of epithelium
3. Hyperchromatic nuclei
4. Increased mitotic figure

Correct answer: 1. Breaking of basement membrane

Explanation: Ans. is a i.e. Breaking of basement membrane Friends before discussing the answer to this question lets first have a look at some important terms and their meaning i. Cervical metaplasia :The cervix is composed of columnar epithelium which lines the Endocervix and squamous epithelium which covers the Ectocervix. The point at which they meet is known as squamo-columnar junction. This squamo-columnar junction is at the level of external os.deg Under the influence of hormones the sub columnar cells transform into squamous cells. This changing of one type of epithelium into the other is called as Metaplasia. Metaplastic cells are : Normal cells.deg No Nuclear atypia.deg Do not transform into malignant cells.deg Squamous metaplasia is a normal process and occurs most actively immediately adjacent to the original SCJ, creating a zone of metaplastic epithelium termed as Transformation zone between the original SCJ and columnar epithelium. ii. Dysplasia : Represents a change in which there is alteration in cell morphology and disorderly arrangement of the cells of the stratified squamous epithelium. It is a premalignant lesion. Characteristics of Dysplastic cell : Vary in sizedeg, shapedeg and polaritydeg. Have altered nucleo-cytoplasmic ratio (N/C ratio is increased).deg Have large, irregular hyperchromatic nuclei with marginal condensation of chromatin material.deg Have several mitotic figures. The basement membrane however is intact and there is no stromal infiltration. III. CIN : Term CIN (Cervical Intraepithelial Neoplasia) : has almost universally replaced WHO classification of dysplasia.